In which of following arthritis erosions are not seen ?
1. Rheumatoid arthritis
2. Systemic lupus erthematosus (SLE)
3. Psoriasis
4. Gout

Correct answer: 2. Systemic lupus erthematosus (SLE)

Explanation: Ans. is 'b' i.e., Systemic lupus erythmatosus (SLE) o In SLE, Nonerosive arthritis is seen.